"Bernoulli's theorem" explains:
1. Nasal polyp
2. Thyroglossal cyst
3. Zenker's diverticulum
4. Laryngomalacia

Correct answer: 1. Nasal polyp

Explanation: (a) Nasal polyp(Ref. Scott Brown, 6th ed., 4/10/2)Thyroglossal cyst and laryngomalacia are the congenital malformations.Zenker's diverticulum occurs due to neuromuscular incoordination.